Cells in the aorta gonad mesonephros region is associated with:
1. Hematopoeisis
2. Immunity
3. Neural tube formation
4. None of the above

Correct answer: 1. Hematopoeisis

Explanation: The definitive hematopoietic stem cells are derived from mesoderm surrounding the aorta in a site near the developing mesonephric kidney called the aorta-gonad-mesonephros region (AGM). These cells colonize the liver, which becomes the major hematopoietic organ of the embryo and fetus from approximately the second to seventh months of development. Stem cells from the liver colonize the bone marrow, the definitive blood-forming tissue, in the seventh month of gestation, and thereafter, the liver loses its blood-forming function. Ref: Langman's embryology 11th edition Chapter 7.